7yr old girl, injury to the nerve which passes superior to piriformis & winds around the greater sciatic notch. Most likely muscle affected -
1. Gluteusmedius
2. Gluteus Maximus
3. Obturatorintemus
4. Piriformis

Correct answer: 1. Gluteusmedius

Explanation: Ans. is 'a' i.e., Gluteus mediuso Only superior gluteal nerve and vessels pass superior to piriformis(see above explanation),o Superior gluteal nerve supplies gluteus medius and gluteus minimus